Transfer of the carbamoyl moiety of carbamoyl phosphate to ornithine is catalysed by a liver mitochondrial enzyme:
1. Carbamoyl phosphate synthetase
2. Ornithine transcarbamoylase
3. N-acetyl glutamate synthetase
4. N-acetyl glutamate hydrolase

Correct answer: 2. Ornithine transcarbamoylase

Explanation: The carbamoyl group is transferred to the NH2 group of ornithine by ornithine transcarbamoylase (OTC).
Reference: Vasudevan 7th  ed, pg 204